The most common mechanical failure for metal-ceramic restorations is
1. Debonding of the porcelain from the metal.
2. Shrinkage of the porcelain at mouth temperature.
3. Debonding of the PFM from the tooth.
4. None of the above

Correct answer: 1. Debonding of the porcelain from the metal.